A 30-year-old P1L1 wants contraception for 6 months. She has dysmenorrhea and is a know case of complicated migraine. On USG, uterus has multiple fibroids. Contraception of choice is :
1. Cu T 200
2. OC pills
3. Vaginal diaphragm
4. Tubal sterilization

Correct answer: 3. Vaginal diaphragm

Explanation: Copper T cannot be used since she has multiple fibroids. Permanent method like tubal ligation cannot be used since she need contraception for only 6 months. OCPs can cause breakthrough bleeding and she has h/o migraine. TEXTBOOK OF GYNECOLOGY SHEILA BALAKRISHNAN SECOND EDITION PAGE NO 367, 379.